Stapedius nerve is a branch of ?
1. Trigeminal nerve
2. Facial nerve
3. Vagus nerve
4. None

Correct answer: 2. Facial nerve

Explanation: Ans. is 'b' i.e., Facial nerve Branches of facial nerve In fallopian (facial canal) :- Greater petrosal (greater superficial petrosal) nerve, nerve to stapedius, chorda tympani.At its exit from stylomastoid foramen :- Posterior auricular, digastric nerve, stylohyoid nerve.Terminal branches :- Temporal, zygomatic, buccal, marginal mandibular, and cervical.